Woodruff's area is:
1. Floor of the nose
2. Posterior end of inferior turbinate
3. Ethmoidal part of roof of nose
4. Atrium of middle meatus

Correct answer: 2. Posterior end of inferior turbinate

Explanation: Woodruff's area is present under the posterior end of inferior turbinate on the lateral nasal wall which is also called nasopharyngeal plexus.